Anti gravity Aspiration done in
1. Quinsy
2. TB abscess
3. Parapharymgeal abscess
4. Ludwig's Angina

Correct answer: 2. TB abscess